A 67-year-old woman has pulmonary function tests performed to evaluate symptoms of dyspnea. The most prominent finding is a reduction of the ratio of FEV1/FVC. Which of the following is the most likely diagnosis?
1. COPD
2. ankylosing spondylitis
3. Pickwickian syndrome
4. scleroderma of the chest wall

Correct answer: 1. COPD

Explanation: The VC is reduced in emphysema, but the FEV1 is grossly reduced because of high airway resistance. In predominant emphysema, diffusing capacity is more profoundly decreased than in predominant bronchitis.